Seal finger and whale finger is seen with
1. Actinomyces
2. Nocardia
3. Erysipelothrix
4. Listeria

Correct answer: 3. Erysipelothrix

Explanation: Erysipeloid skin lesion is caused by Erysipelothrix. M/c site is finger causing seal finger and whale finger.